Mydriatic used for refraction in infants is:
1. Atropine ointment
2. Atropine drops
3. Homatropine
4. Eucatropine

Correct answer: 1. Atropine ointment

Explanation: Ans. A i.e. Atropine ointment Ocular therpaeutics Shortest & quickly acting mydriatic: Tropicamide Mydriatic with no cycloplegia: Phenylephrine Mydriatic used as a ointment in children: Atropine MC complication of topical steroid: Glaucoma